A patient had an inferior wall myocardial infarction andwasmshock-Thereasonfohepatientbeing in shock is-
1. Mitral regurgitation
2. Infarction causing septal defect
3. Right ventricular infarction
4. Deceased ejection fraction from left ventricle

Correct answer: 3. Right ventricular infarction

Explanation: Ref: R Alagappan - Manual of Practical Medicine 4th Edition.pg no:184